Patterns of Inter–relationships between persons in a society is –
1. Social structure
2. Social psychology
3. Herd structure
4. Social science

Correct answer: 1. Social structure

Explanation: Patterns of inter-relationships between persons in a society is called social structure.